Varicella are classified under :
1. Enterovirus
2. Retrovirus
3. Poxvirus
4. Herpes virus

Correct answer: 4. Herpes virus